Management for CSF rhinorhoea is -
1. Plain x-ray and packing of nose
2. Nasal packing only
3. Antibiotics and observation
4. Immediate surgery

Correct answer: 3. Antibiotics and observation

Explanation: Ans. is 'c' i.e., Antibiotics and observation "Early cases of post-traumatic CSF rhinorrhoea are managed conservatively by placing the pt. in the semisitting position, avoiding blowing of nose, sneezing and straining. Prophylactic antibiotics are also administered to prevent meningitis." - Dhingrao Traumatic rhinorrhea often stops spontaneously. Conservative treatment consists of 1-2 weeks trial of-i) Subarachnoid drainage through a lumbar catheter, ii) Strict bed rest, iii) Head elevation, iv) Stool softeners, v) Advising patient to avoid coughing, sneezing, nose blowing, and straining, vi) Prophylactic antibiotics, o Surgical repair is generally advocated in patients with large fistulae especially in the presence of pneumocephalus.